Clinical manifestation of which of the following arthritis will present as tarsal tunnel syndrome?
1. Ankylosing spondylitis
2. Osteoarthritis
3. Rheumatoid arthritis
4. Psoriatic arthritis

Correct answer: 3. Rheumatoid arthritis

Explanation: Peripheral nerve involvement is a common in rheumatoid arthritis, with entrapment neuropathies at the carpal tunnel and tarsal tunnel making up most of the peripheral nerve injuries. Tarsal tunnel syndrome results from compression of the posterior tibial nerve as it passes under the medial malleolus in the medial aspect of the ankle. Paresthesia and pain on the plantar surface of the foot are common symptoms Other causes of tarsal tunnel syndrome: Space-occupying lesion within the tarsal tunnel (eg, a ganglion, synovial cyst, or lipoma) or distally against one of the two terminal branches: the medial or lateral plantar nerve Trauma to the lower extremity Severe venous varicosities Tenosynovitis Tumor within the nerve Traction neuropathy in excessively valgus hindfoot position Ref: Clinical Neurology of the Older Adult edited by Joseph I. Sirven, Barbara L. Malamut, Ph.D., 2008, Page 509.